All of the following are ELG changes seen in Left sided pneumothorax except:
1. Amplitude variations in QRS complexes
2. T-wave inversions
3. Reduced amplitude in R wave
4. Left axis deviation

Correct answer: 4. Left axis deviation

Explanation: In left sided pneumothorax Mediastinum is pushed towards right side. Hence, there will be right axis deviation.
Left axis deviation is seen in Right sided Pneumothorax.